Which of the following trial is done for measuring a response of drug in non infectious uveitis?
1. Luminate
2. CATT
3. ETDRS
4. AREDA

Correct answer: 1. Luminate

Explanation: Luminate trial for volcosporine was done to evaluate its efficacy in non infectious uveitis. Trials In Retina STOP, CRYO-ROP, ETROP-Retinopathy Of Prematurity. CATT- WET ARMD (Ranibizumab) LUMINATE- Volcosporine AIIMS(q) ANCHOR- Ranibizumab AREDS- Dry ARMD ETDRS- Diabetic Retinopathy DRCR Net are the latest trials going in drugs can be used in DR.